Bronchogenic cysts occurs commonly in-
1. Post mediastinum
2. Sup.mediastinum
3. Carina
4. Periphery of lung

Correct answer: 3. Carina

Explanation: Ans. is 'c' i.e., Carina Bronchogenic cysts o Bronchogenic cyst is a congenital lung defect, which develops from abnormal lung budding of primitive foregut. o Most of the bronchogenic cyst arise in the mediastinum, where they are usually located in the mid mediastinum near carina. o About 15% of Bronchogenic cyst also occurs in pulmonary parenchyma. o When located in the lung they are more common in right lung and lower lobe. o They are lined by cuboidal or ciliated columnar epithelial cells and are usually filled with mucoid material.